Which microorganism is responsible for classical presentation of hydrocephalus, chorioretinitis, intracerebral calcification ?
1. Toxoplasmosis
2. Rubella
3. Measles
4. CMV

Correct answer: 1. Toxoplasmosis

Explanation: Ref: Parija SC, Textbook of Medical Parasitology. 3rd Edition. London: John Wiley & Sons: 2004. Pg. 175 Explanation: Toxoplasma Gondii It is an obligate intracellular parasite, residing in reticulendothelial cells and nucleated cells of the host. Three major morphologic forms are present (All forms are infectious) Tachyzoites - Humans and cats Tissue cyst - Humans and cats Oocyst - Cats only Congenital toxoplasmosis It occurs when a non-immune pregnant woman becomes infected during pregnancy It is due to transplacental transmission of the tachyzoites If the infection occurs during first trimester, it can result in deg Abortion or Stillbirth (Most common) deg Congenital toxoplasmosis (17%) If infection occurs during last trimester, the symptoms are mild and the babies may be asymptomatic at birth. About 65% of the babies suffer from congenital toxoplasmosis due to infection during last trimester. The classical clinical triads of congenital toxoplasmosis are: deg Chorioretinitis deg Cerebral calcifications deg Convulsions. Microcephaly, hydrocephalus, organomegaly and intellectual disability are the less frequent manifestations.